Which one of the following statements is true of brain tumours in childhood ?
1. Is a rare from of malignancy
2. Most tumours are below the tentorium
3. Hemiparesis is a frequent from of presentation
4. Papilloedema is infrequent

Correct answer: 2. Most tumours are below the tentorium